Which has the maximum bioavailability?
1. Fluvastatin
2. Atorvastatin
3. Pravastatin
4. Simvastatin

Correct answer: 1. Fluvastatin

Explanation: Among statins, fluvastatin is having a good oral bioavailability Pravastatin- approved for children above 8 years Ref: KD Tripathi 8th ed